Kidney transplantation is an:
1. Allograft
2. Isograft
3. Xenograft
4. Synergic graft

Correct answer: 1. Allograft

Explanation: Ans. (a) AllograftRef: Bailey 26th edition, Page 1408* Allograft: an organ or tissue transplanted from one individual to another* Alloantigen: Transplant antigen* Alloantibody: Transplant antibodies